Vena Caval opening of diaphragm lies at the level of:
1. Body of T6 vertebra
2. Body of T8 vertebra
3. Body of T10 vertebra
4. Body of T12 vertebra

Correct answer: 2. Body of T8 vertebra

Explanation: Ans. B. Body of T8 vertebraThe diaphragm is a C-shaped structure of muscle and fibrous tissue that separates the thoracic cavity from the abdomen. The dome curves upwards. The superior surface of the dome forms the floor of the thoracic cavity, and the inferior surface the roof of the abdominal cavity. The thoracic spinal levels at which the three major structures pass through the diaphragm can be remembered by the number of letters contained in each structure:a. Vena Cava (8 letters) - Passes through the diaphragm at T8.b. Oesophagus (10 letters) - Passes through the diaphragm at T10.c. Aortic Hiatus (12 letters) - Descending aorta passes through the diaphragm at T12.OpeningStructures passing throughVena caval opening* Inferior vena cava* Right phrenic nerveEsophageal opening* Esophagus* Right and left vagal trunks* Esophageal branches of left gastric arteryAortic openingFrom right to left these are:- Azygos vein- Thoracic duct- Aorta